The most important meditor of chemotaxis among following is -
1. C3b
2. C5a
3. C567
4. C2

Correct answer: 2. C5a

Explanation: Ans. is 'b' i.e., C5a